All are local routes of drug administration except ?
1. Topical
2. Intra-articular
3. Oral
4. Intra-arterial

Correct answer: 3. Oral

Explanation: Ans. is 'c' i.e., Oral Route of drug administration are :? 1) Local : Drug is administered at the site of lesion. Examples of local route are topical, intraarticular, intrathecal, retrobulbar, perineural and intra-arterial. 2) Systemic : Drug is administered through systemic routes is intended to be absorbed into the blood stream and distributed all over, including the site of action, through circulation. Examples are oral, sublingual, rectal, cutaneous (transdermal), inhalation. intranasai and parentral (subcutaneous, intramuscular, intravenous, intradermal).